Which of the following does not move on deglutition
1. Subligual dermoid
2. Thyroid nodule
3. Pretracheal lymphnode
4. Thyroglossal cyst

Correct answer: 1. Subligual dermoid